The type of study that determines the norms and limits of the distribution of variables, including the characteristics of the events and population under study, is reffered to as-
1. Explanatory
2. Cross-sectional
3. Descriptive
4. Analytical

Correct answer: 3. Descriptive

Explanation: Descriptive studies are the first phase of an epidemiological investigation. Procedures in descriptive studies include: 1)defining the population to be studied 2)defining the disease under study 3)describing the study by time , place, person 4)measurement of disease 5)comparing with known indices 6)formulation of an aetiological hypothesis (refer pgno:63 park 23 rd Edition)